A 45 yr old male comes to AIIMS emergency dept at 1am after binge drinking in night presents with severe chest pain following a episode of vomiting,the chest radiograph of this patient demonstrates which of following sign?
1. Silhouette Sign
2. Naclerio V sign
3. Spinnaker Sign
4. Hilum Overlay Sign

Correct answer: 2. Naclerio V sign

Explanation: The given image shows lucency along the medial part of left hemi-diaphragm and lateral aspect of aorta - known as Naclerio V sign. Seen in Boerhaave syndrome Naclerio V sign (X- ray) CT Hilum Overlay Sign - If the pulmonary vessels are visible through the lesion/mass (not obscured by the mass) then it means that the mass/lesion is in either Anterior or posterior mediastinum but not in the hilum Hilum Overlay Sign Spinnaker Sign/ Thymus Sail Sign/ Angel wing sign - Seen in Pneumomediastinum Spinnaker Sign